Ratio of Sodium : Glucose in WHO Reduced Osmolarity ORS is
1. 1:04
2. 1:01
3. 1:03
4. 1:02

Correct answer: 2. 1:01